Medial compartment of thigh is supplied by which nerve?
1. Tibial nerve
2. Obturator nerve
3. Femoral nerve
4. Common peroneal

Correct answer: 2. Obturator nerve

Explanation: Ans. B Obturator nerveRef: Gray's Basic Anatomy E-book, P 205Obturator nerve is a branch of lumbar plexus.Related to ala of sacrum.Forms the lateral boundary of ovarian fossa.Emerges out of the obturator foramen and divides into anterior and posterior.Branches of Obturator NerveA. Anterior division: Gives off:# Muscular branches to 3 muscles: Adductor longus, adductor brevis and gracilis# Articular branch to the hip joint# Cutaneous branch to the skin of the medial side of the thigh.B. Posterior division: Gives off:# Muscular branches to 2 muscles# Obturator externus and adductor magnus (pubic part)# Articular branch to the knee joint.